The lateral pterygoid muscle attaches to which of the following?
1. Lateral surface of the lateral pterygoid plate.
2. Medial surface of the lateral pterygoid plate.
3. Lateral surface of the medial pterygoid plate.
4. Medial surface of the medial pterygoid plate.

Correct answer: 1. Lateral surface of the lateral pterygoid plate.

Explanation: The inferior head of the lateral pterygoid muscle attaches to the lateral surface of the lateral pterygoid plate of sphenoid bone. Its superior head attaches to the infratemporal crest of the greater wing of sphenoid bone. The deep fibers of the medial pterygoid muscle attaches to the medial surface of the lateral pterygoid plate.